Gait apraxia is seen in?
1. ACA
2. MCA
3. PCA
4. Posterior choroidal artery

Correct answer: 1. ACA

Explanation: Gait apraxia/ Magnetic gait is common in the elderly d/t ACA insufficiency. Typical features of Gait apraxia include: Wide base of support Short stride Shuffling along the floor Difficulty with starts and turns. Many patients exhibit difficulty with gait initiation termed as "Slipping clutch" syndrome.